In Alzheimer disease patients, the major effect on neurotransmitter systems of tacrine, donepezil, rivastigmine, and galantamine is to
1. increase dopamine availability
2. decrease dopamine availability
3. increase Ach availability
4. decrease Ach availability

Correct answer: 3. increase Ach availability

Explanation: Low levels of Ach are associated with the symptoms of Alzheimer disease. Tacrine, donepezil, rivastigmine, and galantamine are acetylcholinesterase inhibitors (i.e., they block the breakdown of Ach, increasing its availability). These agents can thus be effective in slowing down the progression of the illness. They do not restore the function the patient has already lost.